VMA is a metabolite of:
1. Adrenaline
2. Thyroxine
3. Serotonin
4. Growth hormone

Correct answer: 1. Adrenaline

Explanation: Ans: a (Adrenaline) Ref: Vasudevan, 4th ed, p. 190; 5th ed, p. 205Epinephrine is metabolised by COMT and MAO; the end product is VMA.NorepinephrineBridge to PharmacologyNon selective MAO inhibitors :Phenelzine, tranyl cypromine, Iso carboxyzine.||EpinephrineSelective MAO inhibitorMAO-I Type A:mainly in liver. But anywhere (metabolises NE, 5HT, and tyramine)E.g.: clorgyline, meclobemideMAO-I Type B:mainly in brain, metabolises DA, PhenylethylamineE.g.: Selegeline, deprenylCOMTMetanephrineMAOVMA